Not true about development of ovary
1. Develops in genital ridge
2. Sex cords are derived from coelomic epithelium
3. Oocytes are mesodermal in origin
4. At birth ovary contains 2 million follicles

Correct answer: 3. Oocytes are mesodermal in origin

Explanation: Oocytes develop from the primordial germ cells, which themselves are derivatives of epiblast. Ref: Gray's 39e/p-1289